True regarding endothelin-1 are all except
1. Bronchodilatation
2. Vasoconstriction
3. Decreased GFR
4. Has inotropic effect

Correct answer: 1. Bronchodilatation

Explanation: Endothelin 1 is a broncho constrictor that it is implicated in the pathophysiology of asthma Endothelin-1, one of the most potent vasoconstrictor agents yet isolated. Endothelins cause contraction of mesangial cells which reduce GFR Endothelin-1 appears to be primarily a paracrine regulator of vascular tone. Endothelin is a positive inotropic agent in human heart Ref: Ganong's Review of Medical Physiology Twenty-Third Edition Page No:565